To detect a 4 mm nodule in pancreas what is the best investigation?
1. PET scan
2. Endoscopic USG
3. CECT
4. MRI

Correct answer: 2. Endoscopic USG

Explanation: ANSWER: (B) Endoscopic USGREF: Encyclopedia of Diagnostic Imaging, Volume 1 by Albert L. Baert Page 267, http://emedicine. meds cap e. com/article/370909-over viewContrast enhanced CT is generally accepted as first line of investigation for suspected pancreatic cancer.In detection and staging of small tumors EUS (Endoscopic ultrasound) is reliable. EUS is used in the detection of tumors smaller than 2 cm. EUS has a high sensitivity and specificity for pancreatic cancer, with an overall staging accuracy higher than 80%. The possibility of performing EUS-guided FNA significantly improves both diagnostic and staging capability of EUSMRI appears to be more valuable for staging the extent and spread of pancreatic carcinoma than for tumor detection of lesions smaller than 2 cm. The degree of confidence with MRI is less than that with CT at the moment because of the wide variability in MRI techniques and its limitations from motion artifactsPET scan is usually reserved, to confirm malignancy, to differentiate between carcinoma and a focal nodular pancreatitis and to recognize distant metastasis. In general, the sensitivity of PET is high in the detection of lesions more than a centimeter in diameter.